A 50 year old woman with schizophrenia who has been taking a antipsychotic drug for the past 3 years has begun to show involuntary chewing and lip-smacking movements. Which can be the most likely possibility?
1. Akathisia
2. Neuroleptic Malignant Syndrome
3. Restless Legs Syndrome
4. Tardive Dyskinesia

Correct answer: 4. Tardive Dyskinesia

Explanation: Ans. D. Tardive dyskinesiaTardive dyskinesia (TD) is a disorder that results in involuntary, repetitive body movements. This may include grimacing, sticking out the tongue, or smacking the lips.Additionally, there may be rapid jerking movements or slow writhing movements